Adenoma sebaceum is a characteristic of Wof
1. Tuberous sclerosis
2. Neurofibromatosis
3. Xanthomatosis
4. Incontinentia pigmenti

Correct answer: 1. Tuberous sclerosis

Explanation: TUBEROUS SCLEROSIS Cutaneous manifestations Angiofibromas (previously called adenoma sebaceum):- Most frequent manifestation, seen in almost 90% of patients. Appear in childhood and enlarge at puberty (hence the misnomer "sebaceum"). Reddish brown, smooth, dome-shaped papules with telangiectasis. Symmetrically, on nose, nasolabial folds, cheeks. Ref:- Neena khanna; pg num:-32,33